All of the following muscles are attached to oblique line of thyroid cartilage except
1. Superior constrictor
2. Inferior constrictor
3. Thyrohyoid
4. Sternothyroid

Correct answer: 1. Superior constrictor